Tibial and common peroneal nerve supplies:
1. Adductor magnus muscle
2. Adductor longus muscle
3. Gracilis muscle
4. Biceps Femoris muscle

Correct answer: 4. Biceps Femoris muscle

Explanation: Ans. D Biceps Femoris muscleRef: Gray's Anatomy 41st ed. P 1324.e2* The posterior compartment includes semitendinosus. semimembranosus and biceps femoris# Note: Biceps femoris is the only muscle of the thigh that is attached distally to the fibula, and has no tibial attachment* Biceps femoris muscle is supplied by tibial and common peroneal nerve.* While in posterior descent, sciatic nerve is crossed by the long head of biceps femoris and divides it into the tibial and common fibular (peroneal) nerves proximal to the knee.* The short head of biceps femoris is supplied by the lateral (common fibular/peroneal) component.* Long head of biceps femoris is supplied by tibial component.Movement, muscles and segmental innervation in the lower limbJointMovementMuscleInnervationHIPFlexionPsoas majorSpinal nn. L1-3IliacusFemoral n.PectineusFemoral n. or accessory obturation n.Rectus femorisFemoral n.Adductor longusObturator n.SartoriusFemoral n.ExtensionGluteus maximusInferior gluteal n.Adductor magnusObturator and tibial nn.Semitendinosus,Tibial and commonsemimembranosus, biceps femorisfibular nn.Medial rotationIliacusFemoral n.Gluteus medius and minimusSuperior gluteal n.Tensor fasciae lataeSuperior gluteal n.Lateral rotationSuperior and interior gemelliNerve to obturator internus and nerve to quadratus femoris, respectivelyQuadratus femorisNerve to quadratus femorisPiriformisNerve to piriformisObturator internusNerve to obturator internusObturator externusObturator n.SartoriusFemoral n.AdductionGracilisObturator n.Adductor longusObturator n.Adductor magnusObturator and tibial nn.Adductor brevisObturator n.PectineusFemoral n. or accessory obturator n.AbductionTensor fasciae lataeSuperior gluteal n.Gluteus medius and minimusSuperior gluteal n.PiriformisNerve to piriformis